A 35 years old man presented with dry cough and rusty coloured sputum; He has history of eating in chinese restaurant very often with consumption of crabs often; What is the probable causative agent in this condition
1. Diphyllobothrium latum
2. Pneumocystis jirovecii
3. Paragonimus westermani
4. Strongyloides stercoralis

Correct answer: 3. Paragonimus westermani

Explanation: A patient with history of crab eating and respiratory symptoms gives clinical clue for Paragonimus westermani infection * First intermediate host-Snails * Second intermediate host-Fresh water crab or crayfish * Infective form-Metacercariae * It causes paragonimiasis in pulmonary system; it causes a granulomatous reaction that leads to blood mixed sputum-consists of golden brown eggs; a fibrous tissue that may go for cavitation in some cases; Treatment:- Praziquantel Ref:- T.B of Medical Parasitology S.C.Parija 4th edition; Pg num:- 235